Fleishner sign is characteristic of
1. Ulcerative colitis
2. Crohn's disease
3. Ischaemic colitis
4. Ileocecal tb

Correct answer: 4. Ileocecal tb

Explanation: Fleshner sign - Wide gaping of ileocecal value with narrowing of terminal ileum characteristic of Ileocecal tb.